An elderly female presents with the features of fever, headache, diplopia. biopsy of the artery revealed panarteritis. What is the most probable diagnosis -
1. Nonspecific arteritis
2. PAN
3. Wegeners granulomatosis
4. Temporal arteritis

Correct answer: 4. Temporal arteritis